Which is a DNA virus ?
1. Hepatitis A
2. Hepatitis B
3. Hepatitis C
4. Hepatitis D

Correct answer: 2. Hepatitis B

Explanation: Ans. is 'b' i.e., Hepatitis B